False -ve hydrostatic test in live born fetus is for-
1. Atelectasis
2. Meconium aspiration
3. Emphysema
4. Putrefaction

Correct answer: 1. Atelectasis

Explanation: Hydrostatic (Raygat's) test is false negative in atelectasis and diseases like acute pulmonary edema, pneumonia and congenital syphilis etc.